Weight gain is not seen with:
1. Chlorpromazine
2. Sodium valproate
3. Carbamazepine
4. Phentermine

Correct answer: 4. Phentermine

Explanation: Ref:CMDT 2010/1137 Phentermine was used for treatment of obesity. It decreases appetite and causes weight loss.